The following is not an immunomodulator
1. Tacrolimus
2. Cyclosporin
3. Cylcoserin
4. Sirolimus

Correct answer: 3. Cylcoserin

Explanation: Cycloserine is an antibiotic. Remaining all are immune-modulators which are calcineurin inhibitors.Ref: Katzung 13th ed Pg 1135